X- linked recessive disease in male with clotting defect is-
1. Hemophilia A
2. Von - Willebrand disease
3. ITP
4. None

Correct answer: 1. Hemophilia A

Explanation: X- linked recessive disease in male with clotting defect is Hemophilia A XR (X-linked recessive) Color blindness Duchenne's Muscular Dystrophy Becker's Muscular Dystrophy Glucose-6-Phosphate Dehydrogenase deficiency(G6PD) Testicular Feminization Hunter's Syndrome Fabry's disease Ornithine Transcarboxylase deficiency Lesch Nyhan syndrome Hemophilia A and B Agammaglobulinemia